CNS involvement is most commonly associated with which group of congenital intrauterine infections:
1. CMV and Toxoplasmosis
2. Rubella and Toxoplasmosis
3. Rubella and HSV
4. CMV and Syphillis

Correct answer: 1. CMV and Toxoplasmosis

Explanation: CMV infection and Toxoplasmosis are the two most common intrauterine infections with frequent and serious CNS involvement. The group of CMV and Toxoplasmosis is therefore the single best answer of exclusion. Ref: Harrison 17th Edition, Page 1310, 1110; Vope's Neurology of the born 3rd Edition, Page 675, 685, 691